Wiskott-Aldrich syndrome is characterized by all of the following except:
1. X-linked recessive mode of inheritance
2. Atopic dermatitis and eczema during infancy
3. Thrombocytopenia
4. IgM is increased

Correct answer: 4. IgM is increased

Explanation: IgM is decreased in Wiskott-Aldrich syndrome, not increased . Wiskott-Aldrich syndrome characterized by X-linked recessive Thrombocytopenia Infections Eczema It is associated with decreased IgM, increased IgA, and increased IgE levels . Ref: Nelson textbook of pediatrics 21st edition Pgno: 1117